Extensive abrasions are found all over the body of a pedestrian lying by the road side. What is the likely cause ?
1. Primary Impact Injury
2. Secondary Impact Injury
3. Secondary Injury
4. Postmortem artifact

Correct answer: 3. Secondary Injury

Explanation: In secondary injury, when the body is rolled over after the impact, the skin may show abrasions of more than two surfaces (front, back and sides).